The Spinal cord ends at what level in a new born
1. T12- L1
2. Lower border of L1
3. L1-L2
4. L3

Correct answer: 4. L3

Explanation: Level of termination of spinal cord Adult Males - Lower border of L1 Adult Females - L 2 vertebra New born - L3 vertebra.